The structure connecting the posterior surface of the lens to the capsule is called
1. Hyaloideocapsular ligament of Weiger
2. Vitreous Base
3. Cloquets's canal
4. Collagen fibers

Correct answer: 1. Hyaloideocapsular ligament of Weiger

Explanation: (Refer: AK Khurana Comprehensive Ophthalmology, 6th edition, pg no. 258)Hyaloideocapsular ligament of Weiger or retrolental ligament is a strong adhesion between the lens and posterior capsule. It is a circular adhesion 8-9 mm in diameter. This attachment is termed as Egger's Line. Which this circle is a potential space of Burger or Erggelet's space